A primigravida is admitted at 38 weeks of gestation in labor. Admission NST is reactive. However, during active labor, the baseline FHR increased from 140 to 160 bpm with presence of variable decelerations during contractions. The patient was taken for emergency LSCS. The most important reason for the decision is:
1. Fetal acidemia
2. Fetal distress
3. Non reassuring FHR Pattern
4. Fetal hypoxic encephalopathy

Correct answer: 3. Non reassuring FHR Pattern

Explanation: Ans. is c, i.e. Non reassuring FHR PatternVariable deceleration indicates cord compression and such decelerations are common during labor and do not indicate fetal compromise.Variable Decelerations which are > 60 beats in depth or > 60 secs in duration or take a longer time to return to baseline rate are non reassuring and warrant immediate delivery.